True- Koebner phenomenon is present in all except-
1. Psoriasis
2. Lichen planus
3. Warts
4. None

Correct answer: 3. Warts

Explanation: Ans-C Note-Psuedo Koebner phenomenon